Metal fume fever is related with : -
1. Mercury
2. Lead
3. Zinc
4. Arsenic

Correct answer: 3. Zinc

Explanation: METAL FUME FEVER
Metal fume fever is an acute febrile illness associated with the inhalation of respirable particles of zinc oxide.
Reference – Poisoning & Drug Overdose by Kent R. Olson - 218